Foot drop is due to injury to which nerve:
1. Peroneal nerve
2. Tibial nerve
3. Femoral nerve
4. Obturator nerve

Correct answer: 1. Peroneal nerve

Explanation: Ans. A. Peroneal nerveFoot drop is due to involvement of common peroneal nerve which supplies anterior & lateral compartment of legThe common peroneal nerve is extremely vulnerable to injury as it winds around the posterolateral aspect of the neck of the fibula. At this site it may be injured by the direct trauma, fracture neck of fibula, or tightly applied plaster cast.The characteristic clinical features are as follows:(a) Motor loss: Foot drop (due to the paralysis of muscles of the anterior compartment of the leg which are dorsiflexors of the foot), Loss of extension of toes (due to the paralysis of extensor digitorum longus and extensor hallucis longus) &Loss of eversion of foot (due to the paralysis of peroneus longus and peroneus brevis which are evertors of the foot) & High Stepping gait.(b) Sensory loss: on the anterolateral aspect of the leg, and whole of dorsum foot except the areas supplied by the saphenous and sural nerves.